Mrs. Y, 25years with the previous history of twin pregnancy delivered at 36weeks, now at 10weeks of gestation, her obstetric score is
1. G1P1L2
2. G1P2L2
3. G2P1L2
4. G2P2L2

Correct answer: 3. G2P1L2

Explanation: Gravida: a woman who currently is pregnant or has been in the past, irrespective of the pregnancy outcome.With the establishment of the first pregnancy, she becomes a primigravida, and with successive pregnancies, a multigravida.Nullipara: a woman who has never completed a pregnancy beyond 20 weeks' gestation. She may not have been pregnant or may have had a spontaneous or elective abortion(s) or an ectopic pregnancy.Primipara: a woman who has been delivered only once of a fetus or fetuses born alive or dead with an estimated length of gestation of 20 or more weeks.Multipara: a woman who has completed two or more pregnancies to 20 weeks' gestation or more. Parity is determined by the number of pregnancies delivered reaching 20 weeks. It is not increased to a higher number if multiples are delivered in a given pregnancy. Moreover, stillbirth does not lower this number.Reference: William's obstetrics; 25th edition